Following drug interact with cefotaxime -
1. Digoxin
2. Paracetamol
3. Loop diuretics
4. Nifedipine

Correct answer: 3. Loop diuretics

Explanation: Ans. is 'c' i.e., Loop diuretics o Nephrotoxicity of cephalosporins is accentuated by concurrent administration of a loop diuretic.